Which drug can cause psychosis:
1. Ofloxacin
2. Amfetamine
3. Capreomycin
4. Rifampicin

Correct answer: 2. Amfetamine

Explanation: Ans. B i.e. Amfetamine